A 39-year old woman comes to the physician because of weight gain and abnormal menstrual cycles. She feels depressed and weak. Physical examination shows multiple purplish striae on the abdomen and bruises over the lower extremities. Laboratory studies show normal thyroid stimulating hormone (TSH) and thyroid hormone levels, and elevated cortisol secretion. 
If the patient has adrenal hyperfunction, which of the following may also be present?
1. Enhanced glucose uptake
2. Hirsutism
3. Hypocalciuria
4. Hypoglycemia

Correct answer: 2. Hirsutism